Bertillon System is for
1. Anthropometry
2. Dactylography
3. Dentition
4. Nuclear Sexing

Correct answer: 1. Anthropometry

Explanation: Bertillon's System : After 21 years

Anthropometric system based on physical measurement of specified parts of the body

Ref - Naryana Reddy, pg. 85.